Saints triad includes all EXCEPT:
1. Gall stones
2. Cholangitis
3. Diverticulosis
4. Hiatus hernia

Correct answer: 2. Cholangitis

Explanation: Ans. (b) CholangitisRefiSrb's Manual of surgery 4,hed p-1287, The ASCRS Textbook of Colon and Rectal Surgery: Second Edition- edited by David E. Beck, Patricia L. Roberts, Theodore J. Saclarides, Anatomy J. Senagore, Michael J. Stamos, Steven D. Wexner 2nded p-383